A child has a vocabulary of 4–6 words however the main mode of communication and social interaction continues to be non-verbal what is the most likely developmental age of the child –
1. 12 months
2. 15 months
3. 18 months
4. 24 months

Correct answer: 2. 15 months

Explanation: Vocabulary of 4-6 words in addition to jargon is achieved by 15 months of age. However <20% of speech is understood and hence main mode of communication continnues to be non-verbal.